Most common antibody in autoimmune hepatitis is
1. u1RNP
2. Anti-5m
3. ANA
4. Anti-LKM

Correct answer: 3. ANA

Explanation: Autoimmune hepatitis Indistinguishable from chronic viral hepatitis. Responds to immunosuppressive therapy Female predominance(70%) Absence of serogical evidence of viral infection Presence of other forms of autoimmune diseases like rheumatoid arthritis, thyroiditis, sjogren syndrome and ulcerative colitis. Most patients found to have circulating anti- nuclear antibodies, anti-smooth muscle antibiodies, liver/kidney microsomal antibody, anti-soluble liver/pancreas antigen. ROBBINS BASIC PATHOLOGY NINTH EDITION PAGE 620